True about endometriosis is all except
1. Chronic inflammatory disease
2. Estrogen independent
3. Ectopic endometrial tissue
4. Frequently seen in ovaries

Correct answer: 2. Estrogen independent

Explanation: Endometriosis is estrogen-dependent condition.